An abnormal attitude is illustrated by:
1. Breech presentation
2. Face presentation
3. Transverse position
4. Occiput posterior

Correct answer: 2. Face presentation